Factor which is associated both with exposure and disease is called -
1. Confounding factor
2. Risk factor
3. Proximal risk factor
4. Case

Correct answer: 1. Confounding factor

Explanation: Ans. is 'a' i.e., Confounding factor